Which one of the following is a distinguishing feature of Edward's syndrome
1. Hypotonia
2. Hypotelorism
3. Holoprosencephaly
4. Rocker bottom feet

Correct answer: 4. Rocker bottom feet

Explanation: ), Edwards syndrome ( Reference: GHAI Essential pediatrics, 8th edition